"Cannon" - a wave is seen in-
1. Complete heart block
2. Left ventricular hypertrophy
3. Mitral stenosis
4. atrial fibrillation

Correct answer: 1. Complete heart block

Explanation: cannon a wave occurs with atrioventricular (AV) dissociation and right atrial contraction against a closed tricuspid valve. In a patient with a wide complex tachycardia, the appreciation of cannon a waves in the jugular venous waveform identifies the rhythm as ventricular in origin. The a wave is not present with atrial fibrillation. The x descent defines the fall in right atrial pressure after inscription of the a wave. ref : ( Harrison's principle of internal medicine,20th edition,pg no.1823 )